Taurodontism is seen in which race
1. Mongoloids
2. Caucasian
3. Negros
4. None of the above

Correct answer: 1. Mongoloids

Explanation: TAURODONTISM - Bull tooth; in mongoloids Pulp cavity of molars is wide and deep Roots are fused and bent